A young lady presents with tremors, diarrhea and elevated T4. TSH levels were 8.5 m lU/L. Further examination reveals bi-temporal hemianopia. What is the next step of management?
1. Start anti-thyroid drugs, and do urgent MRI Brain
2. Start beta blockers
3. Conservative management
4. Start anti-thyroid drugs and wait for symptoms to resolve

Correct answer: 1. Start anti-thyroid drugs, and do urgent MRI Brain

Explanation: The clinical setting of high TSH and T4 with tremors and diarrhea signifies hyperthyroidism due to either a TSH secreting pituitary tumor (secondary hyperthyroidism) or elevated TRH secretion from hypothalamus (tertiary hyperthyroidism). But the presence of "Bi-temporal hemianopia" localizes the lesion to Pituitary mass compressing the optic chiasma. Hence, the diagnosis is most likely TSH secreting Pituitary Adenoma. Radioiodine or anti-thyroid drugs can be used to control thyrotoxicosis and do urgent MRI to confirm the diagnosis. A combination of trans-sphenoidal surgery, sella irradiation, and octreotide may be required to normalize TSH, because many of these tumors are large and locally invasive at the time of diagnosis.